All of the following are the classifications of C- Spine Injury except _____:
1. AO Magerl classification
2. Allen Ferguson Classification
3. Anderson and D 'Alonzo Classification
4. Levine and Edwards Classification

Correct answer: 1. AO Magerl classification

Explanation: Ans. A. AO Magerl classificationThe AO/Magerl classification is used for classification of thoracolumbar spinal injuries.Other options:The Allen Ferguson classification used for subaxial cervical spine injuries. THE Anderson & D 'Alonzo classification used for odontoid process fracture of C2 Spine as seen on AP and lateral X-ray views. The Levine and Edwards Classification is a classification that describes traumatic spondylolisthesis of C2 over C3 (Hangman's fracture).